In fracture of penis involving rupture of tunica albuginea with intact Buck's fascia following would be noted clinically -
1. Hematoma involving only shaft of penis
2. Hematoma involving scrotum and perineal region
3. Hematoma in penis, scrotum & abdominal wall
4. Hematoma in penis, scrotum and thigh

Correct answer: 1. Hematoma involving only shaft of penis

Explanation: Penile fracture involves disruption of tunica albuginea with rupture of corpus cavernosum. If the overlying buck’s fascia is not ruptured, then the hematoma is limited to the shaft of the penis. Otherwise, the hematoma may spread to the scrotum, perineum or Suprapubic regions.